A female pelvis differs from male pelvis by all except:
1. Obtuse subpuhic angle
2. Broad greater sciatic foramen
3. Broad lesser sciatic foramen
4. Prominent muscle marking

Correct answer: 4. Prominent muscle marking

Explanation: D i.e. Prominent muscle markings